The drug of choice in Cryptoccccal Meningitis is:
1. Pentostatin
2. Amphotericin B
3. Clotrimazole
4. Zidovudine

Correct answer: 2. Amphotericin B

Explanation: Answer is B (Amphotericin B): Amphotericin B is the drug of choice Or Cryptococcosis.